Commonest site of carcinoma tongue
1. Apical
2. Lateral borders
3. Dorsum
4. Posterior 1/3

Correct answer: 2. Lateral borders

Explanation: Most common site is middle of the lateral border or the ventral aspect of the tongue.